All of the following decreases the risk of surgical site infection except:
1. IV antibiotics at induction of anesthesia
2. Staff should always wash their hands between patients
3. Preoperative shaving
4. Avoid hypothermia perioperatively

Correct answer: 3. Preoperative shaving

Explanation: AVOIDING SURGICAL SITE INFECTIONS: - Staff should be always wash their hands between patients. - Preoperative shaving should be avoided if possible ( Preoperative clipping of hair is preferred ) - Antiseptic skin preparation should be standardized - Attention to theatre technique and discipline - Avoid hypothermia perioperatively and ensure supplemental oxygenatin in recovery.